Hemobilia is best treated with:
1. Arterial embolisation
2. Ablative therapy
3. Argon laser coagulation
4. None of the above

Correct answer: 1. Arterial embolisation

Explanation: Hemobilia Occur in patients with liver trauma, undergone a liver biopsy, manipulation of the hepatobiliary system, as occurs with endoscopic retrograde cholangiopancreatography (ERCP), percutaneous transhepatic cholangiography, or TIPS, or have hepatocellular carcinoma or a biliary parasitic infection. SYMPTOMS: Patient present with a combination of GI bleeding and elevated liver biochemical test levels. INVESTIGATION : The diagnosis is confirmed by a side-viewing duodenoscope to identify bleeding from the ampulla TREATMENT: Arterial embolization arteriography Ref:Sleisenger and Fordtran's,E-9,P-301.